Which of the following agents is used to measure glomerular filtration rate (GFR) –
1. Iodohippurate
2. Tc99m – DTPA
3. Tc99m – MAG3
4. Tc99m – DMSA

Correct answer: 2. Tc99m – DTPA

Explanation: In dynamic renal scintigraphy :-


GFR  → Tc - 99m - DTPA
Effective renal plasma flow → Tc-99m - MAG3, I - 123 - OIH.